New Cross Auxiliaries means
1. Dental Nurses in Malaysia
2. Dental Nurses in Britain
3. Denturists in Denmark
4. Dental Nurses in Singapore

Correct answer: 2. Dental Nurses in Britain